Periodontitis is usually severe in patients:
1. Taking phenytoin
2. With defective neutrophils
3. With bruxism
4. With overcrowding

Correct answer: 2. With defective neutrophils